Which of the following cannot be degraded by colonic microorgamismic flora and gastrointestinal enzymes?
1. Pectin
2. Lignin
3. Cellulose
4. Glucose

Correct answer: 2. Lignin

Explanation: Lignin is a highly branched polymer composed of phenol units with strong intramolecular bonding. It can neither be digested by gastrointestinal enzymes nor fermented by colonic microorganisms. Cellulose, Hemicellulose and Pectins are plant components that cannot be digested by gastrointestinal enzymes but can be fermented by colonic microorganisms.